CO acts by inhibiting which component of respiratory chain ?
1. Cytochrome b
2. cytochrome C oxidase
3. NADH CoQ reductase
4. Oxidative phosphorylation

Correct answer: 2. cytochrome C oxidase

Explanation: Inhibitors of Electron transport chain (Respiratory chain)Complex I :- Barbiturates (amobarbital), piercidin A, rotenone, chlorpromazine, guanithidine.Complex II :- Carboxin, TTFA, malonate.Complex III :- Dimercaprol, BAL, actinomycin A, Naphthyloquinone.Complex IV (cytochrome c oxidase) :- Carbon monoxide (CO), cyanide (CN), H2S, azide (N3-)